Which of the following is a Negative staining technique?
1. Gram stain
2. Fontana stain
3. India ink
4. ZN staining

Correct answer: 3. India ink

Explanation: ANSWER: (C) India inkREF: Foundations in Microbiology by Talaro Kathleen Park 6"h edition (2007 Edition) Page 83Negative StainingThis procedure involves staining the background with an acidic dye, leaving the cells contrastingly colorless. The black dye nigrosin or India ink is commonly used. This method is used for those cells or structures difficult to stain directlyThis method is useful for improving visualization of encapsulated bacteria in clinical samples such as blood, blood culture bottles, or cerebrospinal fluid.